The carpal tunnel contains all of the following important structures, EXCEPT:
1. Median Nerve
2. Flexor pollicis longus
3. Flexor carpi radialis
4. Flexor digitorum superficialis

Correct answer: 3. Flexor carpi radialis

Explanation: The tendon of flexor carpi radialis lies within a split in the flexor retinaculum i.e. between the retinaculum and its deep slip. It thus lies in a separate tunnel or compartment formed between two slips of flexor retinaculum and not within the true carpal tunnel. The true carpal tunnel lies deep to the flexor retinaculum including its deep slip radially. Ref: Snell's Clinical Anatomy, 7th Edition, Pages 520, 538, 545